Casper's Dictum is used for
1. Identification of Body
2. Estimation of time since death
3. Establishing cause of death
4. Establishing weapon of Injury

Correct answer: 2. Estimation of time since death

Explanation: B i.e. Estimation of time since death